Fibrinoid necrosis may be observed in
1. Malignant Hypertension
2. Polyarteritis nodosa
3. Aschoff bodies
4. All the above

Correct answer: 4. All the above

Explanation: Fibrinoid necrosis is a special form of necrosis, visible by light microscopy, usually in immune reactions in which complexes of antigens and antibodies are deposited in the walls of arteries. The deposited immune complexes, together with fibrin that has leaked out of vessels, produce a bright pink and amorphous appearance on H&E preparations called fibrinoid (fibrin-like) by pathologists